Class III malocclusion is seen in all of the following except
1. Pierre robinson syndrome
2. Cleft palate
3. Cleidocranial dysplasia
4. Craniofacial dysostosis

Correct answer: 1. Pierre robinson syndrome